All of the following statements are true about replacement conduits after esophagectomy except:
1. Ideal replacement for the esophagus after esophagectomy is stomach
2. Gastric conduit is based on right gastric and right gastroepiploic artery
3. Colonic conduit is based on left colic artery
4. Anterior mediastinal route is a preferred for conduit

Correct answer: 4. Anterior mediastinal route is a preferred for conduit

Explanation: Preferred conduit after esophsgectomy- Gastric conduit / stomach Conduit Based on Gastric conduit / stomach Left colon Jejunum Right gastric artery & right gastric epiploic artery Left colic artery Jejunal artery Preferred route / shortest route for conduit - posterior mediastinum